All of the following are true about Graves disease, except:-
1. More common in males
2. Autoimmune in etiology
3. May result in hyperthyroidism
4. Non-thyroid manifestations can also be seen

Correct answer: 1. More common in males

Explanation: Graves disease is an autoimmune disorder which is 10 times most common in females presenting in 20-40yrs of age. It causes hyperthyroidism d/t overstimulation of TSH receptors by TSIg. Its risk is increased in monozygotic twins. It is associated with certain genes like HLA-DR3 , HLA-B8. Also associated with other autoimmune disorders like SLE, Type-1 DM, Pernicious anemia, Addison's disease etc. Non-thyroid manifestations like eye & skin involvement can be seen.